A 28 year old man involved in a bomb blast explosion. Which of the following is not a component of Marshal's triad?
1. Abrasion
2. Contusion
3. Avulsion laceration
4. Punctate lacerations

Correct answer: 3. Avulsion laceration

Explanation: Marshall's triad is seen in bomb blast injuries. It is a triad of - Bruises, Abrasions Punctate lacerations